Western blot technique is done for-
1. Mitochondiral RNA
2. Double strand DNA
3. r-RNA
4. Protein

Correct answer: 4. Protein

Explanation: Visualization of a specific DNA or RNA fragment among the many thousand of contaminating molecules requires the convergence of a number of techniques collectively termed the blot transfer.

Southern blot → Detects DNA
Northern blot → Detects RNA
Western blot → Detects proteins (proteins are separated by electrophoresis, renatured and analysed for an interaction by hybridization with a specific labelled DNA probe).